Therapeutic index of drug is indicator of:
1. Potency
2. Safety
3. Efficacy
4. All

Correct answer: 2. Safety

Explanation: Ans. B. SafetyTherapeutic index is ratio of LD50 and ED50. LD50 is defined as lethal dose which kill 50 % animals who are given the dose. ED50 is defined as effective dose which is effective in 50 % of the population. It is also known as margin of safety.